Aflatoxin is produced by?
1. Aspergillus niger
2. Aspergilus flavus
3. Candida albicans
4. Actinomycetes

Correct answer: 2. Aspergilus flavus

Explanation: Ans. is 'b' i.e., Aspergilus flavus